What will happen if insulin alone is given rapidly in diabetic Ketoacidosis?
1. Hypokalemia
2. Hypernatremia
3. Hyperkalemia
4. Hypocalcemia

Correct answer: 1. Hypokalemia

Explanation: When insulin therapy is instituted ketosis subsides and potassium ions are driven intracellularly. This lead to hypokalemia. 1st IV Fluids should be given then slow iv infusion of insulin should be started if blood glucose levels reach below 300, dextrose has to be combined with the insulin to prevent hypoglycemia (REF.Essential of medical pharmacology K D TRIPATHI 6 Edition, Page No - 264)